Which of the following does not require any specific treatment?
1. Epstein pearls
2. Bohn’s nodule
3. Gingival cyst of newborn
4. All of the above

Correct answer: 4. All of the above

Explanation: 1. Epstein pearls, Bohn’s nodule, and Gingival cyst of new born → Contains keratinized tissue.
→ No specific treatment is required.
→ Small keratinized cystic lesions rupture spontaneously.
2. Eruption cyst with its soft tissue eruption haematoma.
→ No treatment is required as the perforated Cyst shows spontaneous marsupialization.